Ag-Cu eutectic alloy has a characteristic property of that fusion temp of:
1. The resultant alloy is greater
2. The resultant alloy is lesser
3. The resultant alloy varies according to the content of Ag and Cu
4. None

Correct answer: 2. The resultant alloy is lesser